Elemental iron and folk acid contents of pediatric iron folic acid tablets supplied under Rural Child Health (RCII) programme are-
1. 20 mg, iron & 100 microgram folic acid
2. 40 mg iron & 100 microgram folic acid
3. 40 mg iron & 50 microgram folic acid
4. 60 mg iron & 100 microgram folic acid

Correct answer: 1. 20 mg, iron & 100 microgram folic acid

Explanation: Ans. is 'a' i.e., 20 mg of iron and 100 micrograms folic acid o Nutritional anemia has highest prevalance in rural India, and the National Nutritional anemia prophylaxis programme, is based on daily administration of iron and folic acid tablets to maint 'Rural child health'. Therefore as mentioned in the previous question, children are supplied with one tablet of iron and folic acid containing 20 mg of elemental iron and 100 micrograms (0.1 mg) of folic acid daily.